Prodrug is
1. Levodopa
2. Amitryptiline
3. Primidone
4. Digitoxin

Correct answer: 1. Levodopa

Explanation: (Levodopa) (20-KDT) (23-24-KDT 6th)PRODRUGACTIVE-FORMLevodopaDopamineEnalaprilEnalaprilata-methyldopaa methylnorepinephrineDipivefrineEpinephrineSulindacSulfide metaboliteHydrazide MAO inhibitorsHydrazine derivativesProguanilProguanil triazine PRODRUGACTIVE-FORMPrednisonePrednisoloneBecampicillinAmpicillinSulfasalazine5-Aminosalicyclic acidCyclophosphamideAldophosphamide, phosphoramide mustard, acroleinFluorouracilFluorouridine monophosphateMercaptopurineMethyl mercaptopurine ribonucleotide